Structures pass through optic foramen
1. Optic nerve alone
2. Ophthalmic artery and optic nerve
3. Ophthalmic vein and ophthalmic artery
4. Optic nerve and ophthalmic vein

Correct answer: 2. Ophthalmic artery and optic nerve

Explanation: Optic foramen transmits Optic nerve with all layer of meninges Ophthalmic artery Fig: structures passing through various foramina of skull